Champagne glass pelvis is seen in
1. Cretinism
2. Achandro plasia
3. Osteomalacia
4. Rickets

Correct answer: 2. Achandro plasia

Explanation: (Achandroplasia): (306- Maheshwari 4th edition)Champagne - glass' pelvic cavity found in ACHONDROPLASIA(275-Aids to radiological differential diagnosis chapman)ACHONDROPLASIA(Primary defect of enchondral bone formation, Autosomal dominant (but 80% are spontaneous mutations)SkullPelvis1. Large skull, small base, small sella, steep clivus small funnel shaped foramen magnum2. Hydrocephalus - of variable severity (+ obstruction)1. Square iliac wings2. "Champagne-glass" pelvic cavity3. Short narrow sacrosciatic notch4. Horizontal sacrum articulating low on the iliamThoraxAppendicular Skeleton1. Thick, stubby sternum2. Short ribs with deep concavities to the anterior ends1. Rhizometic micromelia with bowing of long bones2. Widened metaphyses3. Ball and socket epiphyseal/metaphyseal junctions4. Broad and short proximal and short proximal and middle phalanges5. Trident shaped hands**Axial Skeleton1. Decreasing interpedicular distance caudally in the lumber spine2. Short pedicles with a narrow sagittal diameter of the lumber spinal canal3. Disc heigh/ body weight ratio is 1.0 (Normal 0.3)4. Posterior scalloping5. Anterior vertebral body beak at T12/L1/L2